A gravida 3 female with H/o 2 previous 2nd trimester abortion presents at 22 weeks of gestation with tunneling of cervix and length of cervix 20 mm. Most appropriate management would be:
1. Administer dinoprostone and bed rest
2. Administer misoprostol and bed rest
3. Apply fothergill stretch
4. Apply McDonald stitch

Correct answer: 4. Apply McDonald stitch

Explanation: Ans. is d, i.e. Apply McDonald stitchRef. Dutta Obs. 7/e, p 168-171In this question: A third gravida female is presenting with 2 previous 2nd trimester losses and with funneling of cervix and length of cervix 20 mm at 22 weeks of gestation which means that the patient has incompetent cervix. This is USG indicated cerclageManagement of this condition as discussed in previous question is application of Me Donald stitch.